A 24-year-old patient with schizophrenia tells the physician that he believes that CIA is listening to his telephone conversations through his television set. Despite being told multiple times by family members, he remains firm on his belief. This patient is describing
1. a hallucination
2. an illusion
3. clouding of consciousness
4. delusion

Correct answer: 4. delusion

Explanation: A false belief, in this case that the CIA is listening to one's telephone conversations through the television set, is an example of a delusion. A hallucination is a false perception, and an illusion is a misperception of reality Clouding of consciousness is the inability to respond to external events